Active metabolite of azathioprine -
1. 6-thioguanine
2. 6-thiouracil
3. 6-mercaptopurine
4. 6-mercaptoguanine

Correct answer: 3. 6-mercaptopurine

Explanation: Ans. is 'c' i.e., 6-mercaptopurine Azathioprineo It is an analogue of mercaptopurine.o It selectively affects T cells -cellular immunity is predominantly affected,o It selectively affects dejferentiation and formation ofT cells,o Azathioprine is converted to active metabolite 6-mercaptopurine.o It can inhibit the synthesis of both DNA & RNA.o Azathioprine and 6-MP are metabolize by xanthine oxidase - dose should be reduced if allopurinol (a xanthine oxidase inhibitor) is used concurrently.o The most important action of azathioprine is prevention of renal and other graft rejection.